Duchene-muscular dystrophy?
1. Autosomal dominant
2. Autosomal recessive
3. X-linked dominant
4. X-linked recessive

Correct answer: 4. X-linked recessive

Explanation: Ans. (d) X linked recessiveRef: Robbings pathology 9th ed. 1/42